Medial boundary of Femoral Ring
1. Inguinal Ligament
2. Lacunar Ligament
3. Pectineus
4. Femoral Vein

Correct answer: 2. Lacunar Ligament

Explanation: Femoral Ring:It is represented by a horizontal line 1.25 cm long over the inguinal ligament, 1.25 cm medial to the midinguinal pointIt is bounded anteriorly by the inguinal ligament, posteriorly by the pectineus and its covering fascia, medially by the concave margin of the lacunar ligament, and laterally by the septum separating it from the femoral vein. The inferior epigastric vessels are closely related to the junction of the anterior and lateral walls of the ring. The femoral ring is closed by a condensation of extraperitoneal connective tissue called the femoral septum. The femoral canal contains a lymph node of Cloquet or of Rosenmuller, lymphatics, and a small amount of areolar tissue. The lymph node drains the glans penis in males and the clitoris in femalesReference: Chaurasia Volume II; 7th edition; Page no: 51